Which phase of clinical trial involves normal human Volunteers:
1. Phase 0
2. Phase I
3. Phase II
4. Phase III

Correct answer: 2. Phase I

Explanation: Ans. B: Phase I